All are cluster A personality disorders except -
1. Paranoid
2. Borderline
3. Schizoid
4. Schizotypal

Correct answer: 2. Borderline

Explanation: Ans. is 'b' i.e., Borderline Personality disorderso Clustor A : Paranoid, Schizoid, Schizotypal.o Clustor B : Antisocial (Dissocial), Histrionic, Narcissistic, Borderline,o Clustor C: Anxious (avoidant), Dependent, obsessive - compulsive (anankastic).